Wenckebach bundle is:
1. Involved in the heart block
2. The fastest conducting part in the heart
3. An abnormal connection between right atrium and ventricles
4. A bundle that relays impulse from SA node to AV node

Correct answer: 4. A bundle that relays impulse from SA node to AV node

Explanation: Internodal tracts conducts impulses from SA node to AV node. Anterior - Bachmann's bundle. Middle - Wenckebach's bundle. Posterior - Thorel's bundle. Bundle of Kent aberrant anomalous path connecting atria to ventricle; bypassing AV node. Characterized by delta wave on ECG. (WPW syndrome).